An eight year old child has active white spot lesions on his teeth and  gives a history of having sugar containing snacks and beverages more than 3 times in between meals. In which category can we classify this child
1. High Risk
2. Moderate Risk
3. Low Risk
4. None

Correct answer: 1. High Risk

Explanation: Caries-Risk Assessment Form for Children 6 Years Old or Younger